A woman has septic abortion done; vegetation on tricuspid valve is likely to go to:
1. Septic infarcts to lung
2. Liver
3. Spleen infarcts
4. Emboli to brain

Correct answer: 1. Septic infarcts to lung

Explanation: Answer is A (Septic Infarcts to lung) Septic infarcts from the right side of the heart will first reach the lungs the pulmonary artery due to normal forward flow.